A chest X-ray shows plethoric lung fields which are seen in all of the following conditions, EXCEPT:
1. Atrial septal defect (ASD)
2. TAPVC (Total Anomalous Pulmonary venous connection)
3. Ebstein's' anomaly
4. Ventricular septal defect

Correct answer: 3. Ebstein's' anomaly

Explanation: Intracardiac shunts that result in increased pulmonary arterial flow can enlarge the pulmonary vascular system giving the lung fields a plethoric appearance. The most common lesions causing increased vascularity without cyanosis are, Atrial septal defect (ASD) Ventricular septal defect (VSD) Patent ductus arteriosus (PDA) The main cardiac lesions with cyanosis and increased pulmonary vascularity are, Transposition of the great vessels Truncus arteriosus Total anomalous pulmonary venous connection (TAPVC) Ref: Ravenel J.G. (2011). Chapter 3. Imaging of the Heart and Great Vessels. In M.Y. Chen, T.L. Pope, D.J. Ott (Eds), Basic Radiology, 2e.